"Auspitz" sign is characteristically seen in:
1. Plaque Psoriasis
2. Pustular Psoriasis
3. Lichen Planus
4. Inverse Psoriasis

Correct answer: 1. Plaque Psoriasis

Explanation: A i.e. Plaque psoriasis